Which of the following diuretics acts on nephron through interstitium
1. Thiazide
2. Furosemide
3. Acetazolamide
4. Spironolactone

Correct answer: 4. Spironolactone

Explanation: Ans. is 'd' i.e., Spironolactone(Ref: KDT Vh/e p. 587)Spironolactone is mineralocorticoid (aldosterone) antagonist. It opposes the action of Aldosterone without requiring access to the tubular lumen.Spirinolactone (as well as aldosterone) act from the interstitial side.